Ovoviviparous parasite which is associated with autoinfection -
1. Ancylostoma duodenal e
2. Strongyloides stercoralis
3. Enterobius vermicularis
4. Ascaris

Correct answer: 2. Strongyloides stercoralis

Explanation: . Ans. is 'b' i.e., Strongyloides stercoralis o Among the given options, strongyloides and enterobius can cause autoinfection,o Strongyloides is ovoviviparous, whereas enterobius is oviparous.ParasiteMethod of causing auto-infection1. Capillaria philippinensisLiberated larvae penetrate intestinal mucosa2. Cryptosporidium parvumThin-walled oocysts can reinfect the same person3. Enterobius vermicularisLarvae come out on perianal skin, re-enter anal canal and migrate retrograde to caecum. Can also be carried by contaminated hands to mouth4. Hymenolepsis nanaEggs hatch in the same person's intestine, onchospheres enter mucosa to develop into cysticercoid larvae. These in turn migrate back into intestine to develop into adults.5. Strongyloides stercoralisEggs hatch to liberate rhabditiform larvae that immediately develop into filariform larvae. These larvae penetrate intestinal mucosa.6. Taenia solium (cvstcercosis)Reverse peristalsis leading to entry of gravid proglottids'eggs into stomach. Can also be carried by contaminated hand to mouth. NematodesOviparous (laying eggs)Viviparous (Producing larva)Ovo-viviparousUnsegmented eggSegmented eggEgg with larvao Brugia sport Dracunculusmedinensiso Strongyloides stercoraliso Ascariso Trichuris-Trichurao Ancylostoma duodenaleo Nector americanuso Temides sport Entrobius vermiculariso Trichinella spiraliso Wuchereria bancrofti o Trichostrongylus